Pseudo-cushing syndrome is seen in:
1. Chronic alcoholism
2. Incidentaloma
3. Adrenal carcinoma
4. Nelson syndrome

Correct answer: 1. Chronic alcoholism

Explanation: Pseudo-Cushing syndrome : In alcoholics there is increased urinary excretion of steroids Absent diurnal variation of plasma steroids with positive overnight Dexamethasone test. All of these biochemical derangement decrease on Alcohol discontinuation. High MCV and gamma glutamyl transferase will be indicative of alcoholism.